The presence of anti-Saccharamyces cerevisae antibody is a surrogate marker of one of the following -
1. Celiac disease
2. Crohn's disease
3. Ulcerative colitis
4. Tropical sprue

Correct answer: 2. Crohn's disease